All of the following statements regarding volume of distribution are true except:
1. Half life is usually proportional to Vd
2. Calculated by t1/2 multiplied by log2
3. Skeletal muscle relaxants have low Vd
4. High plasma protein bound drugs have low Vd

Correct answer: 2. Calculated by t1/2 multiplied by log2

Explanation: Vd = Amount of drug given / Plasma concentration . So, option 'B' is wrong.t1/2 = (0.693 * Vd ) / Clearance * So, Half life is directly proportional to volume of distribution. * Skeletal muscle relaxants have low Vd so that they can't go to brain etc. * High plasma protein bound drugs are less distributed so less volume of distribution.